Antibody against BP 230 and BP 180 seen in
1. Pemphigus vulgaris
2. Bullous pemphigoid
3. Dermatitis herpetiformis
4. Hailey-Hailey Disease

Correct answer: 2. Bullous pemphigoid

Explanation: BP 230 / BPAg1 and BP 180/BPAg2 are antigens in the DEJ involved in Bullous Pemphigoid.